Histidine load test is done for
1. Histidine deficiency
2. Folic acid deficiency
3. Glutamate deficiency
4. Vitamin B12 deficiency

Correct answer: 2. Folic acid deficiency

Explanation: Histidine load test / FIGLU test.